Transamination is the first step in the catabolism of many amino acids. All of the following amino acids undergo transamination, EXCEPT
1. Alanine
2. Threonine
3. Glutamate
4. Aspartate

Correct answer: 2. Threonine

Explanation: All of the common amino acids except lysine, Threonine, Proline, and Hydroxyproline participate in transamination. Transamination is not restricted to alpha amino groups. The delta amino group of ornithine (but not the e-amino group of lysine) readily undergoes transamination. Mnemonic to remember the amino acids which don't undergo transamination:- POLYTHENE - PO (proline/hydroxyproline) LY (lysine) THENE (threonine )